Type of injury in which there is brief temporary physiological paralysis of function without organic structural damage is:
1. Concussion.
2. Contusion.
3. Laceration.
4. None.

Correct answer: 1. Concussion.